All insects have developed resistance to DDT except?
1. Mosquito
2. Flea
3. Tsetse flies
4. Ticks

Correct answer: 3. Tsetse flies

Explanation: Ans. is 'c' i.e., Tsetse flies Arthropods showing resistance to DDT - Arthropods showing no resistance to DDT Houseflies (e.g., Musca domestica) Moquito (Culex, Anopheles, Aedes) Flea (rat flea, Sand flea) Lice (Pediculus capitis/corporis, Phthirus pubis) Ticks & Mites Sandlies (Phlebotomus) Tsetse flies (Gluossianae)